Last organ to putrefy in females is:
1. Kidney
2. Uterus
3. Brain
4. Spleen

Correct answer: 2. Uterus

Explanation: Uterus Putrefaction > Caused by bacterias largely originating from intestines and lungs > Starts approximately 3 days after death > Starts simultaneously, however visually observed first at abdomen, usually RIF Due to bacterias in caecum that lies superficially > Then spreads to abdomen wall (gas distension) Ref ; Narayana reddy 33rd ed.